In doubtful cases, the presence of which organism confirms the fecal contamination of Water –
1. Protozoa
2. Yeast
3. Clostridium perfringes
4. Fungi

Correct answer: 3. Clostridium perfringes